Flap that is most commonly used in breast reconstruction
1. Serratus anterior
2. TRAM
3. Flap from arm
4. Delto-pectoral flap

Correct answer: 2. TRAM

Explanation: Ans. (b) TRAM(Ref: Bailey and Love 26th edition Page 817)* TRAM flap based on Superior Epigastric vessels is the MC used flap for breast reconstruction